All are true of standardized mortality ratio except:
1. Expressed as rate per year
2. Can be adjusted for age
3. Can be used for events other than death
4. Ratio of observed deaths to expected deaths

Correct answer: 1. Expressed as rate per year

Explanation: Expressed as rate per year Standardized mortality ratio (SMR) = Expected death/ Observed deaths x 100 If the ratio had value greater than 100, the risk of mortality rises. * SMR permit adjustment for age and it is of value if the event of interest is occurrence of disease rather than death. * Other standardization techniques * Life table * Regression techniques * Multivariate analysis